Which of the following is anaerobic:
1. E.coli
2. Bacteroides
3. Pseudomonas
4. Klebsiella

Correct answer: 2. Bacteroides